All are features of Gummatous ulcer except -
1. Punched out edges
2. Syphylitic in nature
3. Wash leather slough
4. Erythematous base

Correct answer: 4. Erythematous base